Which of the following is required for unwinding of DNA -
1. Helicase
2. Primase
3. SSBP
4. Ligase

Correct answer: 1. Helicase

Explanation: Ans. is 'a' i.e., Helicase proteinfunctionDNA polymerasesDeoxynucleotide polymerizationHelicasesProcessive unwinding of DNATopoisomerasesRelieve torsional strain that results from helicase induced unwindingDNA primaseInitiates synthesis of RNA primersSingle-strand binding proteinsPrevent premature reannealling of dsDNA DNA ligaseSeals the single strand nick between the nascent chain and Okazaki fragments on lagging strand